All antiretroviral drugs produce peripheral neuropathy except ?
1. Stavudine
2. Zalcitabine
3. Didanosine
4. lndinavir

Correct answer: 4. lndinavir

Explanation: Ans. is 'd' i.e., Indinavir Characteristic side effects of important antiretroviral drugs Lamivudin - Nausea, headache, fatigue. Stavudine - Peripheral neuropathy, lipodystrophy, hyperlipidemia, pancreatitis, rapidly progressive ascending neuromuscular weakness. Didanosine - Peripheral neuropathy, pancreatitis, diarrhea, nausea, hyperuricemia. Zalcitabine - Peripheral neuropathy, oral ulceration, pancreatitis. Zidovudin - Macrocytic anemia, neutropenia, nausea, headache, insomnia, asthenia. Tenofovir - Asthenia, headache, diarrhea, nausea, vomiting, flatulance, renal insufficiency. Efavirenz - CNS effects, rash, RTT liver enzymes. Nevirapine - Rash, hepatitis, nausea, headache. Indinavir - Nephrolithiasis, nausea, indirect hyperbilirubinemia, headache, blurred vision, asthenia.